Pipkin classification is used for which fractures?
1. Acetabular fractures
2. Pelvis ring fractures
3. Femoral head fracture
4. Femoral shaft fracture

Correct answer: 3. Femoral head fracture

Explanation: Type V of Thompson and Epsetein classification of hip dislocation ,associated fracture of femoral head, is further classified according to PIPKIN'S CLASSIFICATION. ref : maheswari 9th ed